Filarial Dance sign is seen on
1. USG
2. CT
3. Scintigraphy
4. Radiography

Correct answer: 1. USG

Explanation: The Filarial dance sign refers to a twirling motion of microfilariae (e.g.W. bancrofti) noted in dilated lymphatic channels. It is identified as a characteristic sign and indicator of scrotal filariasis. The dilated channels are identified with absence of color flow on Color Doppler study (CDS) and the microfilariae as curvilinear echogenic undulating structures within it. Generally 5-6 microfilariae are seen per channel. GIF image: Filarial dance sign on USG